Least common site of calcified hydatid cyst is ?
1. Lung
2. Mediastinum
3. Extraperitoneal site
4. Liver

Correct answer: 1. Lung

Explanation: Ans. is 'a' i.e., Lung . The pulmonary hydatid cyst almost never calcify, unlike mediastinal cyst ----> Grainger